Snowman sign is seen in:
1. TGA
2. TAPVC
3. ASD
4. VSD

Correct answer: 2. TAPVC

Explanation: ANSWER: (B) TAPVCREF: Moss and Adams' heart disease in infants, children, and Adolescents: Volume 2 - Page 780Snowman sign, sometimes referred to as a figure-of-eight sign is a rounded cardiac contour and superior mediastinum seen on a plain anteroposterior chest film of infants with type 1 supracardiac total anomalous drainage of the pulmonary veins accompanied by common pulmonary vein dilatation and supracardiac drainage; the unique contour is produced by the dilated anomalous (vertical) veins, the left innominate vein and superior vena cava which form the head and the right atrium, which forms the body